Location of Testis in the 7th month of Gestation
1. Iliac Fossa
2. Deep Inguinal Ring
3. Inguinal canal
4. Superficial Inguinal ring

Correct answer: 3. Inguinal canal

Explanation: Descent of Testis:The testes develop in relation to the developing mesonephros, at the level of segments T10 to T12. Subsequently, they descend to reach the scrotum. Each testis begins to descend during the second month of intrauterine life. It reaches the iliac fossa by the 3rd month, rests at the deep inguinal ring from the 4th to the 6th month, traverses the inguinal canal during the 7th month, reaches the superficial inguinal ring by the 8th month and the bottom of the scrotum by the 9th month.Reference: Chaurasia Volume II; 7th edition; Page no: 249